An 18-year-old male presented with acute onset descending paralysis of 3 days duration. There is also a history of blurring of vision for the same duration. On examination, the patient has quadriparesis with areflexia. Both the pupils are non-reactive. The most probable diagnosis is
1. Poliomyelitis
2. Botulism
3. Diptheria
4. Porphyria

Correct answer: 2. Botulism